A patient has bullous Lesion.Which of the following is seen on on Tzank smear –
1. Langerhans cells
2. Acantholysis
3. Leucocytosis
4. Absence of melanin pigment

Correct answer: 2. Acantholysis

Explanation: VZV and HSV infection  →  Multinucleated gaint cells
Pemphigus                   →  Acantholytic cells
Pemphigoid                  → Predominantly eosinophils